Angiographic finding in burgers disease is?
1. Corkscrew arteries
2. Beaded arteries
3. Stenosed arteries
4. Arterial dissection

Correct answer: 1. Corkscrew arteries

Explanation: Corkscrew arteries REF: CT and MR angiography: comprehensive vascular assessment By Geoffrey D. Rubin, Neil M. Rofsky page 344 Angiograms of the upper and lower extremities can be helpful in making the diagnosis of Buerger's disease. In the proper clinical setting, certain angiographic findings are diagnostic of Buerger's. These findings include a "corkscrew" appearance of arteries that result from vascular damage, particularly the arteries in the region of the wrists and ankles. Angiograms may also show occlusions (blockages) or stenosis (narrowings) in multiple areas of both the arms and legs Other featues: Martorell's sign Tree root collaterals Skip lesions